Transmural involvement & granuloma are seen in -
1. Ulcerative coilitis
2. Crohn's disease
3. Tropical sprue
4. Amoebic colitis

Correct answer: 2. Crohn's disease